A 40-year-old female brought to causality by her husband with c/o decreased mental status. She had a knee surgery 3 days back for pain she's taking oral oxycodone. Her husband noted that she finished the 7 days' supply during that day only. Patient reported no seizure activity and there is no H/O of intake of any other drug. On examination patient is afebrile. blood pressure 120/80 mm Hg, Respiratory rate is 3 breath /min with Spo2 = 82%. Patient do not respond to painful stimuli but is able to move all the four extremities. Which of the following drug will you prescribe to improve her mental status?
1. Albuterol
2. Flumazenil
3. Alvimopan
4. Naloxone

Correct answer: 4. Naloxone

Explanation: Opioids:-(Oxycodone) - They act on CNS & cause sedation and respiratory depression. Patient develops hypoxemia because of hypoventilation which can be easily treated by supplemented oxygen. Naloxone: - Opioid antagonist Rapidly reverse respiratory depression and sedation Patient will benefit from Naloxone OTHER OPTIONS: Alvimopan: -Oral opioid antagonist present in the gut. It has no central actions. Reverse only peripheral opioid side effects (Constipation). Albuterol: - b-agonist Can't reverse the opioid sedation. Flumazenil: - g-aminobutyric acid (GABA) receptor antagonist Used for benzodiazepine overdose.